Classical sign of neovascular glaucoma is
1. Retinal neovascularization
2. Disc neovascularization
3. Ciliary body neovascularization
4. Iris neovascularization

Correct answer: 4. Iris neovascularization

Explanation: Ans. (d) Iris neovascularizationRef.: A.K. Khurana 6th ed. /250-51* Neovascular glaucoma results from the formation of a neovacular membane involving the anterior chamber secondary to diffuse retinal hypoxia. There is release of factors like vascular endothelial growth factor (VEGF) from the vitreous which causes formation of abnormal new blood vessels over the iris. The fibrovascular membrane then progressively closes the angle of the anterior chamber.* It is usually associated with neovascularisation of the iris (rubeosis iridis).